Children who have been physically abused usually fall under this category?
1. Timid
2. Stoic
3. Depressed
4. Over co-operative

Correct answer: 2. Stoic

Explanation: The Stoic child is generally cooperative; sits quitely and accepts all the dental treatment including injection without protest. This behaviour is characteristic of children, who have been physically abused.